The substance used in OCG is -
1. Iapanoic acid
2. Sodium diatrozite
3. Meglumine iodothalamate
4. Biligraffin

Correct answer: 1. Iapanoic acid

Explanation: Ans. is 'a' i.e. Iapanoic acid